Skin grafting done on wound following major skin taken from twin brother:
1. Isograft
2. Allograft
3. Autograft
4. Xenograft

Correct answer: 1. Isograft

Explanation: Ans. (a) IsograftRef: Bailey 26th Edition Page 1408* Isograft: A graft between identical donor such as identical twin* Autograft: A graft from one site to another on the same patient* Allograft: Graft from individual of same species.* Xenograft: Graft from another species